Oral pills may prevent the development of:
1. Carcinoma breast
2. Ovarian malignancy
3. Submucus fibroid
4. All of the above

Correct answer: 2. Ovarian malignancy

Explanation: Ans. B: Ovarian malignancy Combined oral pills reduce the incidence of functional ovarian cysts (50%) and ovarian and uterine malignancy The incidence of ovarian cancer is reduced by 40% OCP: They are contraceptive agent of choice in: - Newly married - Post abortal - Post partum non-lactating OCP of choice in lactating mother: Minipill They promote development of: Hepatic adenoma Rifampicin reduce their effectiveness Protects against: - Endometrial Ca, - Ovarian Ca - Endometriosis - Rheumatoid arthritis Fertility returns back to normal after 6 months of their discontinuation 3rd generation OCPs are lipid friendly